A young couple hiking in a wilderness area discovered the body of a man apparently in his 20s. He appeared to have been dead a few days, but animal predation was minimal. A postmortem examination was performed by the county medical examiner, and no evidence of penetrating wounds (bullet, lacerations, etc.) was found. A plain radiograph showed a fractured hyoid bone, but the calvaria and other bones appeared to be intact. Which of the following is the most likely cause of death?
1. Myocardial infarction (heart attack)
2. A fall from a height that resulted in fatal in ternal bleeding
3. Subdural hematoma
4. Strangulation

Correct answer: 4. Strangulation

Explanation: A fractured hyoid bone is evidence of strangulation. A fall from a height and subdural hematoma would likely be accompanied by fractured bones. Whereas myocardial infarction or poison remain possibilities, the medical examiner would have a high index of suspicion for strangulation because of the fractured hyoid bone.